Kluver Bucy syndrome includes all except
1. Hyper sexuality
2. Hyper activity
3. Placidity
4. Hyper metamorphosis

Correct answer: 2. Hyper activity

Explanation: Kluver bucy syndrome is produced due to bilateral lesion of medial temopral lobe including amygdaloid nucleus It includes hypersixuality,hyperorality,visual agnosia etc Ref:Guyton and Hall textbook of medical physiology 12th edition ,pag number:826,837,828